Which anticonvulsive agent would be MOST appropriate as first-line therapy for a 21-year-old woman recently diagnosed with complex partial seizures?
1. Lamotrigine
2. Carbamazepine
3. Topiramate
4. Phenytoin

Correct answer: 1. Lamotrigine

Explanation: Since the women is in reproductive age group so option B (Carbamazepine) is C/I as it may l/t neural tube defects. Therefore, option A